Amyloid deposition is seen in which type of carcinoma thyroid?
1. Follicular
2. Papillary
3. Anaplastic
4. Medullary

Correct answer: 4. Medullary

Explanation: Ans. (d) MedullaryRef: Schwartz 10th edition, Page 1550* FNAC showing Amyloid Stroma.* Can be asked as a Picture Based question